Longest and thinnest extrocular muscle -
1. SR
2. IR
3. SO
4. IO

Correct answer: 3. SO

Explanation: SO arises from the bone above and medial to the optic foramina. It runs forward and turns around a pulley- " the trochlea" and is inserted in the upper and outer part of the sclera behind the equator. Ref;A.K.Khurana; 6th edition;Page no:336